True about Vandemataram scheme (VMS) is ?
1. It is compulsory scheme established in maternity / nursing homes.
2. It is executed in government hospitals only.
3. Treatment is given for free of cost.
4. Voluntary scheme that provide safe motherhood services.

Correct answer: 4. Voluntary scheme that provide safe motherhood services.

Explanation: Vandemataram Scheme (VMS): It is a voluntary scheme in which any obs & gyn specialist, maternity/nursing home, MBBS doctor can volunteer themselves for providing safe motherhood services. Iron, Folic Acid tablets, oral pills, TT injections etc are provided by respective District Medical Officers to 'Vandemataram doctors/ clinics' for free distribution to beneficiaries. Cases which need special care are referred to govt hospitals, where due care is given to pts coming with vandemataram cards.